Not a manifestation of anaphylactic shock:
1. Hypotension
2. Vasoconstriction
3. Bronchospasm
4. Laryngeal edema

Correct answer: 2. Vasoconstriction

Explanation: Ans. Vasoconstriction